To distinguish between cochlear and post cochlear damage, test done is:
1. Brainsterm evoked response audiometry
2. Impedence audiometry
3. Pure tone audiometry
4. Auditory cochlear potential

Correct answer: 1. Brainsterm evoked response audiometry

Explanation: BERA is very useful in distinguishing between cochlear pathology and retrocochlear pathology for SNHLImpedence audiometry and PTA tests the middle ear pathology.